Propylthiouracil is preferred over Methimazole in treatment of Thyroid storm because
1. It is more potent antithyroid drug.
2. It is less plasma protein bound
3. It decreases peripheral conversion of T4 to T3
4. All of the above

Correct answer: 3. It decreases peripheral conversion of T4 to T3

Explanation: Propylthiouracil is preferred over Methimazole in treatment of Thyroid storm because: Propylthiouracil impairs peripheral conversion of T4 - T3 However, PTU is less potent and has higher plasma protein binding as compared to methimazole.